wit B12 is found maximum in?
1. Animal products
2. Green leafy vegetables
3. Roots and tubers
4. All

Correct answer: 1. Animal products

Explanation: ref : lipincott